Radioiodine is preferred for the treatment of
1. Young patient
2. Pregnancy
3. Recent onset of toxic goiter
4. Diffuse Toxic goiter in > 45 years old

Correct answer: 4. Diffuse Toxic goiter in > 45 years old

Explanation: Ans. (d) Diffuse toxic goiter in > 45 years old.Ref: Schwartz 10th edition, Page 1533Contraindications for RAI ablation in Graves' disease* Pregnancy* Lactation* Young (Children and adolescents)* Nodules in thyroid gland* Ophthalmopathy (Progression of Graves ophthalmopathy happens)